Moderate exercise tachypnea is due to stimulation of which of the following receptor?
1. Proprioceptors
2. J receptors
3. Lung receptors
4. Baroreceptors

Correct answer: 1. Proprioceptors

Explanation: Afferent impulses from Proprioceptors and psychic stimuli are causes for hyperventilation during the beginning of an exercise Ref: Ganong 25th ed/page 658